All the following are associated with pulmonary eosinophilic pneumonia,except
1. ABPA
2. Loeffler's pneumonia
3. Churg Strauss syndrome
4. Wegner's granulomatosis

Correct answer: 4. Wegner's granulomatosis

Explanation: Pulmonary infiltrates with eosinophilia include distinct individual syndromes characterized by eosinophilic pulmonary infiltrates and commonly peripheral blood eosinophilia. Ref Harrison 19th edition pg 1686